Regarding the given statements . A. All patient's with pancreatic trauma should undergo exploratory laparotomy B. After conservative management for pancreatic injury, duct stricture and pseudocyst may occur as complications
1. A is True. B is False
2. A is False. B is True
3. Both the statements are True
4. Both the statements are False

Correct answer: 2. A is False. B is True

Explanation: Pancreatic Trauma - Adults: MC cause - penetrating trauma - Children: MC cause - Blunt trauma - Most commonly affected - Body of pancreas Dx: IOC for Dx: CECT ERCP Most reliable test to demonstrate pancreatic duct integrity Mx I - Observation II - Debridement, drainage, possible repair III - distal resection, Roux-en-Y drainage IV & V - * Damage control surgery - Resection + Roux-en-Y drainage - Triple tube decompression - Pyloric exclusion - Duodenal diveiculorization - P/D Most common complication: pancreatic fistula / persistent drain output